A-65, year old farmer presents with sweating, hypothermia and pulse rate of <50/min treatment is:
1. Physostigmine
2. Neostigmine
3. Atropine
4. Pilocarpine

Correct answer: 3. Atropine

Explanation: Ans. is 'c' AtropineThe farmer is suffering from organophosphorus poisoning.Organophosphorus is an anticholinesterase and it produces toxicity by its cholinomimetic action. So drug of choice for organophosphorus poisoning is Atropine, an anticholinergic.Other measures in organophosphorus poisoningStomach wash, washing of skin and removal of all clothes to prevent further absorption.Pralidoxime* to reactivated cholinesteraseMechanical ventilation in case of respiratory depression.C/F of Organophosphorus poisoning areSweating*Miosis*Bradycardia*Hypothermia*Respiratory depression*Bilateral hyperreflexia*Extensor plantar